Down syndrome - all are seen except -
1. t (14; 21)
2. t (11: 14)
3. Trisomy 21
4. t (15: 21)

Correct answer: 2. t (11: 14)

Explanation: Ans. is 'b' i.e., t (11: 14) o In 95% of cases of Down syndrome-trisomy of 21:-Extra chromosome is of maternal in origin.1% have mosaic with some all have 46 chromosome, a 4% have robertsonian translocation.t (13 : 21)t (14 : 21)t (15 : 21)o Very rarely tong arm of chromosome 21 is triplicate (Partial trisomy).